Oral ulceration resembling apthae are encountered in
1. Gluten enteropathy
2. Chronic smokers
3. Excess of B-complex
4. Anti-malarial medication

Correct answer: 1. Gluten enteropathy